Eichosapentaenoic acid is present in
1. Soyabean oil
2. Corn oil
3. Sunflower oil
4. Fish oil

Correct answer: 4. Fish oil